All are examples of microangiopathic hemolytic anemia except-
1. TTP
2. HUS
3. DIC
4. ITP

Correct answer: 4. ITP

Explanation: In TTP ,HUS&DIC anemia is caused by trauma to RBCs due to microangipathy .Immune thrombocytopenic purpura (ITP) is a clinical syndrome in which a decreased number of circulating platelets (thrombocytopenia) (see the image below) manifests as a bleeding tendency, easy bruising (purpura), or extravasation of blood from capillaries into skin and mucous membranes (petechiae). While ITP is an immune mediated process. Ref: robbins 9/e pg :644 Under heading:hemolytic anemia resulting from trauma to red cells